Earliest detection of pregnancy by ultrasound is by
1. Fetal skeleton
2. Fetal node
3. FSH
4. Gestation sac

Correct answer: 4. Gestation sac

Explanation: The first definitive sonographic finding to suggest pregnancy is visualization of the gestational sac. The first sign of intrauterine pregnancy is presence of yolk sac within the gestational sac.